Which of the following is serious adverse effects seen with Zoledronate
1. Acute renal failure
2. Ventricular fibrillation
3. Peptic ulcer
4. Anterior uveitis

Correct answer: 1. Acute renal failure

Explanation: Refer Goodman Gilman 12/e p 1296 The serious adverse effects noted with most of bisphoshonates is osteonecrosis of jaw bone Zoledronate can cause serious side effects as Nephrotoxicity and renal failure